Lachman's test is done with the knee in ____ degree of flexion
1. 5
2. 20
3. 70
4. 90

Correct answer: 2. 20

Explanation: The Lachman test is the most sensitive test for ACL tears. It is done with the knee flexed at 20 degrees, stabilizing the distal femur with one hand and pulling forward on the proximal tibia with the other hand. Ref: Maheshwari 6e pg 358.